In alzhemires which is deficient in cortex?
1. AcH
2. Serotonin
3. Dopamine
4. Noradrenaline

Correct answer: 1. AcH

Explanation: AcH REF: Harrison's 17th ed chapter 365 Biochemically, AD is associated with a decrease in the cerebral cortical levels of several proteins and neurotransmitters, especially acetylcholine, its synthetic enzyme choline acetyltransferase, and nicotinic cholinergic receptors. Reduction of acetylcholine may be related in part to degeneration of cholinergic neurons in the nucleus basalis of Meynert that project to many areas of cortex. There is also reduction in norepinephrine levels in brainstem nuclei such as the locus coeruleus.